Vitamin acting on intranuclear receptors -
1. Vitamin K
2. Vitamin D
3. Vitamin E
4. Vitamin B1

Correct answer: 2. Vitamin D

Explanation: Ans. is 'b' i.e., Vitamin D o Two vitamins are considered as hormones which act on intranuclear receptors (steroid receptor famity). There are:-i) Vitamin A (retinoic acid)ii) Vitamin D